Origin of short head of Biceps
1. Coracoid process
2. Acromion process
3. Supra glenoid tubercle
4. Bicipital groove

Correct answer: 1. Coracoid process

Explanation: Biceps brachi have two heads short head and long head The short head of biceps arise along with coracobrachialis from the tip of the coracoid process, Long head of biceps arise from supraglenoid tubercle of the scapula and from the glenoid labrum Mnemonic Biceps brachii origins: you walk shorter to a street corner.you ride longer on a superhighway. Short head originates from coracoid process. Long head originates from the supraglenoid tubercle. Reference: BD chaurasia vol 1, 7th edition page no 91 Figure:8.3,page no: 89 BD chaurasia , 6th edition